Fulminant infection in pregnancy is due to:
1. HEV
2. HDV
3. HAV
4. HBV

Correct answer: 1. HEV

Explanation: Ans. a. HEVFulminant hepatitis caused by Hepatitis-E virusFulminant hepatitis may occur rarely in 1-2% of cases; except for the pregnant women who are particularly at higher risk (20%) of developing fulminant hepatitis).